Allosteric activator of NAG synthase is:
1. Aspartate
2. Arginine
3. CPS-I
4. CPS-II

Correct answer: 2. Arginine

Explanation: NAG is an allosteric activator of CPS-I (rate limiting enzyme) NAG is synthesized from N-acetyl glutamate synthase or NAG synthase, for which arginine is the activator.